Which among the following is live attenuated vaccine
1. OPV
2. DT
3. TAB
4. TT

Correct answer: 1. OPV

Explanation: Ans) a (OPV) Ret Park 20th ed p 180Another simple question regarding immunization.OPV is a live attenuated vaccine. DT and TT are toxoidTAB is a heat killed Typhoid bacillus vaccine